When recording lead I on an ECG, the right arm is the negative electrode and the positive electrode is the
1. Left arm
2. Left leg
3. Right leg
4. Right arm + left leg

Correct answer: 1. Left arm

Explanation: By convention, the left arm is the positive electrode for lead I of an ECG.